The nerve fibres having the largest diameter:
1. Somatic motor A alfa fibres.
2. Preganglionic autonomic type B fibres.
3. Dorsal root C fibres.
4. Motor fibres A gamma fibres.

Correct answer: 1. Somatic motor A alfa fibres.

Explanation: Somatic motor A alfa are the largest fibres in diameter with a diameter of 12-29microns.